Dirty chest appearance on CXR is seen in?
1. Chronic bronchitis
2. TB
3. Bronchiectasis
4. Cystic fibrosis

Correct answer: 1. Chronic bronchitis

Explanation: Ans ADirty chest appearance-because of recurrent infection with scarring, the bronchovascular structures have irregular contours. This is the only sign of bronchitis in chest X-ray.